Daily energy requirement for reference female, who is sedentary (in Kcal) –
1. 1900
2. 2230
3. 2500
4. 2850

Correct answer: 1. 1900